Extensive formation of hard tissue on dentin walls, often in response to irritation or death and replacement of odontoblast, this process is called as
1. Calcific metamorphosis.
2. Calcific degeneration.
3. Pulp polyp.
4. None.

Correct answer: 1. Calcific metamorphosis.

Explanation: Another type of calcification is the extensive formation of hard tissue on dentin walls, often in response to irritation or death and replacement of odontoblasts. This process is called calcific metamorphosis. As irritation increases, the amount of calcification may also increase, leading to partial or complete radiographic (but not histologic) obliteration of the pulp chamber and root canal." A yellowish discoloration of the crown is often a manifestation of calcific metamorphosis. The pain thresh-old to thermal and electrical stimuli usually increases; often the teeth are unresponsive.